Drug of choice for CML is?
1. Imatinib
2. Hydroxurea
3. Infliximab
4. IFN

Correct answer: 1. Imatinib

Explanation: ANSWER: (A) ImatinibREF: Harrison s 17th ed, CMDT 2008 p. 444The drug treatment of choice for CML when Allogenic SCT (stem cell therapy) is not feasible is IMATINIBIFN-tz used to be the drug treatment of choice for CML when IMATINIB was not available